Stimulation of the apneustic centre causes
1. Decrease in the inhibitory ramp signal
2. Marked increase in inspiratory activity
3. Stimulation of pnemotaxic centre
4. Ceasation of spontaneous respiration

Correct answer: 2. Marked increase in inspiratory activity

Explanation: The apneustic centre is located in the lower pons and it stimulates the inspiratory center to increase inspiratory activity. The apneustic center of pons sends signals to the DRG in the medulla to delay the 'Switch off' Signal of the inspiratory ramp provided by pneumotaxic center of pons. It gets feedback from the vagal afferents and also from other respiratory centers. The apneustic center is inhibited by vagal afferents from pulmonary stretch receptors aroused by inspiration so that stimulatory effect on the inspiratory neurons is switched off allowing expiration to supervene. Respiratory Center components Primary function Pre-Botzinger complex Pacemaker cells of spontaneous or automatic breathing Dorsal Respiratory Group (DRG) Respiratory rhythm generator (inspiratory ramp signal) Ventral Respiratory Group (VRG) Overdrive mechanism Pneumotaxic center Controls the "switch off" point of inspiratory ramp signal Apneustic centre Delays switch off signal-Promotes inspiration Vagi Inhibits inspiratory discharge Ref: Guyton and Hall 13th edition Pgno: 538-548